Most specific symptom of temporal arteritis?
1. Visual loss
2. Jaw claudication
3. Temporal headache
4. Polymyalgia rheumatica

Correct answer: 2. Jaw claudication

Explanation: Giant cell arteritis ( temporal arteritis ) is a chronic vasculitis of large and medium vessel arteries, usually affecting the cranial branches of arteries arising from aortic arch. Jaw claudication is an underreported, yet, a very specific symptom of GCA, with a high positive predictive value. Ref : Harrison's Principles of Internal medicine, 21st edition , Page 2188; NEJM, May 5, 2016, 1794-1795.